Gastric secretion is stimulated by all of the following except
1. Vagus
2. Gastrin
3. Secretin
4. Gastric distention

Correct answer: 3. Secretin

Explanation: Secretion a hormone released into the bloodstream by the duodenum (especially in response to acidity) to stimulate secretion by the liver and pancreas Ref: guyton and hall textbook of medical physiology 12 edition page number:414,415,416